Bitewing radiographs are taken to look for:
1. Narrowing of periodontal space
2. Proximal caries
3. Resorption of root
4. Internal resorption

Correct answer: 2. Proximal caries